Red fluorescent fluid is seen in
1. Pamphigus
2. Erythema multiforme
3. Lichen Planus
4. Porphyra

Correct answer: 4. Porphyra